Diapedesis is
1. Immigration of leukocytes through the basement membrane
2. Immigration of leukocytes through the endothelial gap to the site of inflammation
3. Aggregation of platelets at the site of inflammation
4. Auto-digestion of the cells

Correct answer: 2. Immigration of leukocytes through the endothelial gap to the site of inflammation

Explanation: Diapedesis is immigration of leukocytes through the endothelial gap to the site of inflammation.It occurs mainly in postcapillary venules except in lung where it occurs in capillaries.Robbins 9th edition p 76